All are seen in Turner's syndrome, except
1. XO pattern
2. Webbed neck
3. Short stature
4. Intellectual disability

Correct answer: 4. Intellectual disability